The inheritance pattern of dentinogenesis imperfecta is
1. Homozygous
2. Autosomal dominant
3. Recessive
4. X-linked recessive

Correct answer: 2. Autosomal dominant